A 47-year old male, Kishore exhibited signs and symptoms of acromegaly. Radiologic studies showed the presence of a large pituitary tumor. Surgical treatment of the tumor was only partially effective in controlling the disease. At this point, which of the following drugs is most likely to be used as pharmacological therapy?
1. Desmopressin
2. Leuprolide
3. Octreotide
4. Somatropin

Correct answer: 3. Octreotide

Explanation: Drugs useful in acromegaly are:

Bromocriptine and cabergoline
Somatostatin
Octreotide (long-acting somatostatin analogue)
Pegvisomant (growth hormone receptor antagonist)